Which of the following is/are a complication of urethral stricture?
1. Periurethral abscess
2. Urethral diverticulum
3. Retention of urine
4. All of these

Correct answer: 4. All of these

Explanation: Ans: d (All of these) Ref: Bailey & Love, ed, p. 1394Complication of urethral strictureCauses of urethral stricture:Periurethral abscessUrethral diverticulumRetention of urineUrethral fistula* Inflammatory* Congenital* Traumatic* Instrumental-Indwelling catheter Urethral endoscopy * Post operative -Open prostatectomy Amputation of penis